A child presenting with clinical features of an endocrine abnormality showed epiphyseal dysgenesis in imaging studies. Epiphyseal dysgenesis is a pathognomonic feature of:
1. Hypoparathyroidism
2. Hyperparathyroidism
3. Hypothyroidism
4. Hyperthyroidism

Correct answer: 3. Hypothyroidism

Explanation: Epiphyseal dysgenesis is radiological finding of hypothyroidism which is characterized by centers of ossification, especially of the hip, may show multiple small centers or a single stippled, porous, or fragmented center. Other radiological findings of hypothyroidism: Delayed bone age Cardiomegaly Thyrotrophic hyperplasia characterized by an enlarged sella or pituitary gland Ref: Zeitler P.S., Travers S.H., Nadeau K., Barker J.M., Kelsey M.M., Kappy M.S. (2012). Chapter 34. Endocrine Disorders. In W.W. Hay, Jr., M.J. Levin, R.R. Deterding, J.J. Ross, J.M. Sondheimer (Eds), CURRENT Diagnosis & Treatment: Pediatrics, 21e.